Incidence of gall stone is high in:
1. Partial hepatectomy
2. Ileal resection
3. Jejunal resection
4. Subtotal gastrectomy

Correct answer: 2. Ileal resection

Explanation: Answer is B (Ileal resection) Ileal resection is associated with interruption of enterohepatic circulation of bile sults thereby decreasing the ratio of bile salts to cholesterol within the bile (Lithogenic bile)